Which of the following increases turbulence in blood flow:
1. When the diameter of the blood vessel increases.
2. When density decreases.
3. When resistance increases.
4. All of the above.

Correct answer: 1. When the diameter of the blood vessel increases.

Explanation: Turbulence ∞ Re (Reynolds no) =ρDV/И 
So increase in density → increases Re → increases turbulence.